Non motile Clostridia is:
1. Clostridium tetanomorphum
2. Clostridium histolyticum
3. Clostridium septicum
4. Clostridium perfringens

Correct answer: 4. Clostridium perfringens

Explanation: Ans: D (Clostridium perfringens) Ref: Ananthnarayan R. Paniker CKJ. Textbook of Microbiology. 8th Edition. Hyderabad: Universities Press: 2009. Pg. 249Explanation:Most Clostridia are motile with peritrichate flagella.The motility is slow' and has been described as 'stately'.Only Cl perfringens and Cl tetani Type VI are nonmotile.